Probing and irrigation is not done in -
1. Lacrimal fistula
2. Acute dacryocystitis
3. Congenital dacryocystitis
4. Trauma to eye

Correct answer: 2. Acute dacryocystitis

Explanation: Main treatment consist of topical and systemic antibiotics and anti inflamatory analgesics . Ref :ak khurana 6th edition pg no:395